Cubitus valgus deformity is complication of
1. Supracondylar humerus fracture
2. Lateral condyle humerus fracture
3. Elbow dislocation
4. Medial condyle  humerus fracture

Correct answer: 2. Lateral condyle humerus fracture